PTEN gene mutation is seen in -
1. Ovarian carcinoma
2. Li - Fraumani syndrome
3. Endometrial carcinoma
4. MEN2A

Correct answer: 3. Endometrial carcinoma

Explanation: Ans is 'c' i.e. Endometrial carcinoma PTEN is a tumor suppressor gene which is implicated in the causation of endometrial and prostate carcinomaAbout other optionsOvarian carcinoma - BRCA2Li - Fraumani syndrome - p53MEN2A - RET.